The consistency of the subgingival calculus is described to be:
1. Clay like
2. Flint like
3. Brick like
4. Soft

Correct answer: 2. Flint like